An investigator finds out that 5 independent factors influence the occurrence of a disease. Comparison of multiple factors that are responsible for the disease can be assessed by:
1. ANOVA
2. Multiple linear regression
3. Chi-square test
4. Multiple logistic regression

Correct answer: 4. Multiple logistic regression

Explanation: ANOVA: Analysis of variance is a parametric test used for polyotomous independent variable Chi-square test: is non-parametric test used for testing association between 2 or more qualitative variables Multiple linear regression: Is used if the target variables are dimensional having multiple possible values Multiple logistic regression: Is used if the target variables are binary having only two possible values In the given question, the investigator finds out that 5 independent factors influence the occurrence of a disease. So to compare these 5 factors one should use multiple logistic regressions.